Most frequent site of metastasis in a case of Choriocarcinoma is:
1. Vagina
2. Liver
3. Lungs
4. Brain

Correct answer: 3. Lungs

Explanation: Lungs